Cornea is lined by --
1. Ciliated columinar
2. Simple columinar
3. Squamous non-keratinized
4. Pseudostratified

Correct answer: 3. Squamous non-keratinized

Explanation: Cornea and conjunctiva are lined by stratified squamous nonkeratinized epithelium.